Vaccines at PHC are stored in -
1. Ice box
2. ILR
3. Deep freezer
4. None

Correct answer: 2. ILR

Explanation: Ans. is 'b' i.e., ILR [Ref: Park 22nd/ep. 102)o At PHC levelDeep freezer (small) - For preparation of ice packsIce-lined refrigerators: ILR (small) - For storage of vaccinesCold Chain Components (equipments) & Levels in IndiaLevelComponentTemperatureStorage durationState/Regional levelWalk-in-cold rooms (WIC)+2degCto+8,:,C3 monthsWalk-in-freezers (WIF)-20deg C to -40" CDistrict levelLarge ILRs (Ice-lined refrigerator)+2degCto +8degC1 monthsLarge DFs (Deep freezers)-20PCto-40degCPHC levelSmall ILRs+2degCto+8degC1 month2Small DFs-2Cf'Cto -40" CSub-centre levelVaccine carriers+29Cto +8degC48 -72 hrs.Day carriersSession levelFully frozen icepack+2nCto+8degC1 - 3 hrs.